In Malaria, histopathological examination of liver would show:
1. Microabscess formation
2. Kupffer's cell hyperplasia with macrophage infiltration around periportal area laden with pigments
3. Non caseating granuloma
4. Non specific finding of neutrophilic infiltration

Correct answer: 2. Kupffer's cell hyperplasia with macrophage infiltration around periportal area laden with pigments

Explanation: . Kupffer's cell hyperplasia with macrophage infiltration around periportal area laden with pigments